Most important buffer in interstitial fluid:
1. Phosphate
2. Bicarbonate
3. Histidine
4. Protein

Correct answer: 2. Bicarbonate

Explanation: Principal buffers in body fluids: Blood H2CO3 = H+ + HCO3-HProt complex = H+ + Prot-HHb= H+ + Hb- Interstitial fluid H2CO3=H+ + HCO3- Intracellular fluid HProt complex = H+ + Prot-H2PO4- = H+ + HPO42-